Arrange following according to increasing order of their total body water as percentage of body weight 1. 6 month baby 2. neonate 3. young female 4. young male
1. 1<2<3<4
2. 1<3<4<2
3. 3<4<1<2
4. 4<3<2<1

Correct answer: 3. 3<4<1<2

Explanation: Age Total body water (%) ECF(%) Blood volume(%) Neonate 80 45 9 6 mo old 70 35 1 yr 60 28 5 yr 65 25 8 Young male 60 22 7 Young female 50 20 7 Elderly 50 20